Ammonia for the urea cycle is supplied by the action of the following enzymes?
1. Aspartate aminotransferase
2. Glutamate dehydrogenase
3. Argininosuccinate synthase
4. Argininosuccinate lyase

Correct answer: 2. Glutamate dehydrogenase

Explanation: Glutamate dehydrogenase breaks down glutamate to form ammonia and ct-ketoglutarate. Aspartate aminotransferase transfers the amino group from glutamate to oxaloacetate to form aspartate. Ammonia and aspartate both feed into the urea cycle to supply the nitrogen used to synthesize urea. Argininosuceinate synthase, argininosuccinate lyase, and arginase are enzymes that catalyze other steps of the urea cycle.